Contraindication of laparoscopic cholecystectomy
1. Coagulopathy
2. Obstructive pulmonary disease
3. Endstage liver disease
4. All of the above

Correct answer: 4. All of the above

Explanation: Contraindication to Laparoscopic Cholecystectomy Absolute Unable to tolerate anaesthesia Refractory Coagulopathy Suspicion of carcinoma Relative Previous upper abdominal surgery Cholangitis Diffuse peritonitis Cirrhosis or portal hypertension Chronic obstructive pulmonary disease Cholecystenteric fistula Morbid Obesity Pregnancy Ref: Blumgart 5th edition Pg no :514 Pg no :514